Kviem siltzbach test is is used in diagnosis of
1. Tuberculosis
2. Sarcoidosis
3. Histoplasmosis
4. Leishmaniasis

Correct answer: 2. Sarcoidosis

Explanation: The Kviem-Siltzbach procedure is a specificdiagnostic test for sarcoidosis. An intradermalinjection of specially prepared tissue derived from the spleen of a known sarcoidosis patient is biopsied 4-6 weeks after injection. Ref Harrison 19th edition pg 2210